Size of LMA used for 25kg child is
1. 1
2. 1.5
3. 2.5
4. 4

Correct answer: 3. 2.5

Explanation: Size of LMA used for a 25 kg child is 2.5 LMA size 6 is used in adults weighing over 100 kg